The commonest malignant tumour of the lids is:
1. Basal-cell carcinoma
2. Squamous cell carcinoma
3. Adenocarcinoma
4. Melanocarcinoma

Correct answer: 1. Basal-cell carcinoma

Explanation: Ans. Basal-cell carcinoma